True about Chest radiographs of children with foreign body aspiration is:
1. Always abnormal
2. May show hyperinflation of one lung field
3. Always show antibody
4. Will always present with pneumothorax

Correct answer: 2. May show hyperinflation of one lung field

Explanation: Ans. B. May show Hyperinflation of one lung field.The hallmark of an aspirated foreign body is a lung volume that does not change during the respiratory cycle. Due to the check valve mechanism, where air enters the bronchus around the foreign body but cannot exit, the affected lung will usually appear overinflated and hyperlucent, with concomitant rib flaring and a depressed ipsilateral hemidiaphragm. The chest X-ray will be normal in 35% (range 30-40%) of patients, unilateral emphysema or atelectasis are the most common findings; only uncommonly will a radio-opaque foreign body be demonstrated.